Laryngeal Mask Airway (LMA) is used for:
1. Maintenance of the airway
2. Facilitating laryngeal surgery
3. Prevention of aspiration
4. Removing oral secretions

Correct answer: 1. Maintenance of the airway

Explanation: Ans. (a) Maintenance of the airway Ref: Miller's Anaesthesia 7th ed. /1683 It is placed blindly in the oropharynx and the cuff is inflated with a large volume of air (30 to 40 ml for adult size). Inflated cuff seals the lateral and posterior pharyngeal walls and the patient can be ventilated through ventilation ports. Indications * As an alternative to intubation where difficult intubation is anticipated * Securing airway in an emergency where intubation and mask ventilation is not possible. * As an elective method for minor surgeries where anesthetist wants to avoid intubation. * As a conduit for bronchoscopes, small size tubes, gum elastic bougies. Advantages * Easy to insert (even paramedical staff can insert]. * Does not require any laryngoscope and muscle relaxants. * Does not require any specific position of cervical spine so can be used in cervical injuries. Disadvantages * It does not prevent aspiration so should not be used for full stomach patients. * High incidence of laryngospasm and bronchospasm. Contraindications * Full stomach patients. * Hiatus hernia, pregnancy (where chances of aspiration are high] * Oropharyngeal abscess or mass. * Patients who are vulnerable to go in bronchospasm.